Neutral substance which have size of 6 nm are
1. Freely filtered
2. Permeability is inversely proportional to diameter
3. Not filtered
4. None of the above

Correct answer: 2. Permeability is inversely proportional to diameter

Explanation: Neutral substances
< 4nm ⇒ freely filtered
> 8mm ⇒ not filtered
4nm - 8nm ⇒ Permeability is inversely proportional to diameter